Root value of knee-jerk -
1. L1L2
2. L3L4
3. L5S1
4. S1 S2

Correct answer: 2. L3L4

Explanation: Ans. is 'b' i.e., L3L4ReflexRoot valueBiceps reflex (biceps jerk)C5 C6Supinator reflex (Supinator jerk)C5 C6Triceps reflex (Triceps jerk)C7 C8Knee jerkL3 L4Ankle jerkS1 S2